Under Insecticide Treated Bed Nets Program me, insecticide used is -
1. Deltamethrin
2. Malathion
3. Lindone
4. Fenitrothion

Correct answer: 1. Deltamethrin

Explanation: Inseccide Treated Bed Nets (ITBN) Programme (esp. deltamethrin) has resulted in significant decline in malaria incidence and API

Average decline in anopheline mosquito density - 68%
Average decline in cuicine mosquito density - 50%

Chemicals used in ITBN Programme : Synthec pyretheroids

Deltamethrin : 2.5% in dosage of 25 mg/m2
Cyfluthrin: 5% in dosage of 50 mg/m2
Other inseccides used : Permethrin, Lambdacyhalothrin, Etofenprox, Cypermethrin

Effecveness of pyrethroids: For 6-12 months (Retreatment every 6 months)
Long-lasng inseccidal mosquito nets (LLINs) : Also use pyrethroid inseccides, and a chemical binder that allows the nets to be washed > 20 mes, allowing use for > 3 years.